A patient presents with h/o evening halos and occasional headache for some months. His examination shows normal IOP but shallow AC. He is in which stage of glaucoma -
1. Acute
2. Absolute
3. Prodrome
4. Constant instability

Correct answer: 3. Prodrome

Explanation: Five clinical stages are discernable in primary angle closure glaucoma (PACG) prodromal stage:patirnt sees colored halos due to high IOP with some obscuration of vision. chronic instability stage : The intermittency of prodromal stage is replaced by the regularity of attacks. Acute ACG stage:acute attacks glaucoma Chronic ACG stage:The recurrent attack of angle closure eventualy lead to peripheral anterior synechiae that may permanently block the exit pathway. Absolute glaucoma:it is the end result of untreated attacks ACG or chronic ACG . It result in a stony hard ,painful ,blind eye. Ref:concise textbook of ophthalmology by sharma 2006 page no:118